A 15-year-old girl has been losing weight and exercising vigorously. She feels overweight and wants to lose more weight. On examination, she is thin with muscle wasting. Which of the following physical signs is also suggestive of the diagnosis?
1. salivary gland enlargement
2. coarse body hair
3. diarrhea
4. tachycardia

Correct answer: 1. salivary gland enlargement

Explanation: Salivary gland enlargement occurs both in anorexia nervosa (AN) and bulimia (BN). Other common findings in AN include constipation, bradycardia, hypotension, hypercarotinemia, and soft downy hair growth (lanugo). Menses are usually absent.